The function of stellate cells in the liver?
1. Phagocytosis
2. Storage of Vitamin A
3. Increases blood perfusion
4. Formation of sinusoids

Correct answer: 2. Storage of Vitamin A

Explanation: The space of Disse is also the location of another important hepatic cell type, the stellate cell. Stellate cells serve as storage sites for retinoids and in addition are the source of key growth factors for hepatocytes. Under abnormal conditions, stellate cells are activated to synthesize large quantities of collagen, which contributes to the hepatic dysfunction.